Which of the following is not expected in a case of Microcytic Hypochromic Anemia:
1. Reduced serum Iron
2. Reduced Total RBC distribution Width
3. Normal Ferritin levels
4. Increased TIBC

Correct answer: 2. Reduced Total RBC distribution Width

Explanation: Answer is B (Reduced Total RBC distribution width Microcytic Hypochromic Anemias are typically associated with a Normal or High Red Cell Distribution Width Condition Test (normal values) Iron deficiency Thalassemia Sideroblastic anemia Anemia of chronic disease Smear Microcytic (MCV<80) Microcytic hypochromic Microcytic hypochromic Microcytic hypochromic Normocytic normochromic > Micro/hypochromic (but Micro/Hypo may be present) Serum iron (50-150n/d1) Low (<30) Normal Normal .1. (<50) TIBC (300-360 ug/dl) High (>360) Normal Normal (Chandrasoma Taylor) ,i, (<300) % Saturation (30-50%) < 10 (J') N or Ted (30-80) N or "I' (30-80) 4, (10-20) Ferritin (R/1) (50-200 ug/L) < 15 (fed) T (50-300) T (50-300) Normal or T (30-200) Hemoglobin pattern Normal Abnormal Normal Normal Free Erythrocyte Protporphrin Ted Normal Ted Ted RDW Ted Normal Normal Normal